All of these cells are found in small intestine EXCEPT:
1. Stem cells
2. Goblet cells
3. Neck cells
4. Paneth cells

Correct answer: 3. Neck cells

Explanation: C i.e. Neck Cells Mucous Neck Cells are short columnor cells, full of mucus with round nuclei, line the neck of gastric glands not the small intestineQ